Radiosensitive bone tumor
1. Fibrosarcoma
2. Malignant GIT
3. Multiple myeloma
4. Synovial cell sarcoma

Correct answer: 3. Multiple myeloma